MC cancer due to Radiation :
1. Leukaemia
2. Bronchogenic Ca
3. Thyroid Ca
4. Breast cancer

Correct answer: 1. Leukaemia

Explanation: A i.e., Leukemia